Force generating proteins are :
1. Myosin and myoglobin
2. Dynein and kinesin
3. Calmodelin and G protien
4. Troponin

Correct answer: 2. Dynein and kinesin

Explanation: B i.e. Dynenin and kinesinMicrotubules guide the transport of protein & vesicular material; and 'Motors' (Denin & Kinesin) provide the force behind such movementQMolecular MotorsMolecular motors are ATPase that move proteins, organelles, and other cell parts (their cargo) to all parts of the cells.